Which one of the following dental cements does not contain water as part of the composition of the liquid component?
1. Zinc phosphate cement
2. Zinc oxide eugenol cement
3. Zinc silicophosphate cement
4. Zinc polycarboxylate cement

Correct answer: 2. Zinc oxide eugenol cement